Longest actin statin is
1. Simavastatin
2. Lovastatin
3. Atorvastatin
4. Rosuvastatin

Correct answer: 4. Rosuvastatin

Explanation: Ans. (d) Rosuvastatin